Which part of spinal cord is involved in poliomyelitis?
1. Posterior horn
2. Lateral column
3. Posterior column
4. Anterior horn

Correct answer: 4. Anterior horn